Most common site of metastasis in choriocarcinoma
1. Liver
2. Lung
3. Kidney
4. Spleen

Correct answer: 2. Lung

Explanation: (Lung) (233 - Shaw's 14th)CHORIOCARCINOMA - Malignant growths arising in the body of uterus* Most common, metastases are seen in the lungs (80%), brain and liver* Less common sites are GIT, kidney, spleen, genital tract and lymphnodes (10%)* "Cannon ball" metastasis in lung is typical of a malignant lesion* beta - hCG is very specific marker*** Purple haemorrhagic projections either into the lower third of the vagina or around the vaginal orifice is characteristic and pathognomic of chorio carcinoma* The development of chorio carcinoma following H. mole ranges between 2 - 10%* A post molar GTN may be benign or malignant. But a GTN after non-molar pregnancy is always a choriocarcinoma (201 - Dutta 6lh)